What is the best indicator for a potential explosiveness of plague outbreak?
1. Total flea index
2. Cheopis index
3. Specific percentage of fleas
4. Burrow index

Correct answer: 2. Cheopis index

Explanation: - cheopis index is the average number of Xenopsylla cheopis per rat. - most significant than total flea index. -it is the best indicator for a potential explosiveness of plague outbreak. Reference : Park's textbook of preventive and social medicine, 23rd edition, pg no:294